All of the following are true regarding clofazimine except
1. It is cidal to Mycobacterium leprae
2. It has a very long elimination half life
3. It discolours skin and sweat
4. It has additional antiinflammatory property

Correct answer: 1. It is cidal to Mycobacterium leprae

Explanation: Clofazimine (Clo) It is a dye with leprostatic and antiinflammatory properties. Mechanism of action of clofazimine:- * Interference with template function of DNA in M.leprae * Alteration of membrane stucture and its transport function. * Disruption of mitochondrial electron trans po chain. Clofazimine is used as a component of multidrug therapy (MDT) of leprosy. Because of its antiinflammatory property, it is valuable in lepra reaction. PHARMACOKINETICS Clofazimine is orally active (40-70% absor bed). It accumulates in macrophages and gets deposited in many tissues including subcutaneous fat, as needle-shaped crystals. However, entry in CSF is poor. The t 1/2 is 70 days so that intermittent therapy is possible Adverse effects:- Skin:- The major disadvantage is reddish-black discolouration of skin, especially on exposed parts. Discolouration of hair and body secretions may also occur. Dryness of skin and itching is often troublesome. Acneform eruptions and phototoxicity have been noted. Conjunctival pigmentation may create cosmetic problem. Ref:- kd tripathi; pg num:-781,782